CyAMP acts as a second messenger of:
1. FSH
2. Growth hormone
3. Thyroxine
4. Insulin

Correct answer: 1. FSH

Explanation: A i.e. FSH